Which is the most common arrhythmia in patients with Mitral valve Prolapse?
1. Premature ventricular contraction
2. Atrial fibrillation
3. Atrial flutter
4. Ventricular tachycardia

Correct answer: 1. Premature ventricular contraction

Explanation: MVP may lead to excessive stress on papillary muscles which will lead to dysfunction and ischemia of papillary muscles. Subjacent myocardium will suffer from ischemia leading to premature ventricular contractions recorded in ECG. Arrhythmias seen in MVP: Premature ventricular contractions(mc) PSVT VT Atrial fibrillation